What is mechanism of action of colchicine in acute gout?
1. Inhibition of leukotriene B4
2. Inhibition of release of chemotactic factors
3. Binding to tubulin and inhibition of leucocyte migration
4. Promotes metabolism of urate crystal

Correct answer: 3. Binding to tubulin and inhibition of leucocyte migration

Explanation: Ans. c. Binding to tubulin and inhibition of leucocyte migrationRef: Goodman Gilman 12th e/P 995Colchicine inhibits tubulins required for mobilization of leucocytes (neutrophils) in to joints in an acute attack of gout.It also inhibits release of chemotactic factors form neutrophils and inhibits adhesion of neutrophils to endothelium of blood vessels.